In Gestational hypertension, Hypertension should resolve by -----weeks in the postpartum period?
1. 2weeks
2. 6weeks
3. 8weeks
4. 12weeks

Correct answer: 4. 12weeks

Explanation: Gestational hypertension--evidence for the preeclampsia syndrome does not develop and hypertension resolves by 12 weeks postpartumDiagnosis is made in women whose blood pressures reach 140/90 mm Hg or greater for the first time after mid-pregnancy, but in whom proteinuria isnot identified, and the blood pressure returns to normal by 12 weeks postpartum.Ref: William's Obstetrics; 24th edition; Chapter 40